True about competitive inhibition is
1. Increases Vmax
2. Increased Km
3. Decreased Vmax
4. Decreased Km

Correct answer: 2. Increased Km

Explanation: In the case of competitive inhibition, the Km is increased in presence of competitive inhibitor. Thus competitive inhibitor apparently increases the Km. In other words, the affinity of the enzyme towards the substrate is apparently decreased in presence of the inhibitor. vii. But Vmax is not changed.Ref: DM Vasudevan, page no: 52